Pseudopolyposis is seen in -
1. Crohn's disease
2. Ulcerative colitis
3. Juvenile polyposis
4. Enteric fever

Correct answer: 2. Ulcerative colitis